Which of the following syndrome is associated with Lenticonus?
1. Down's syndrome
2. Alport's syndrome
3. Avellis syndrome
4. Alstrom's syndrome

Correct answer: 2. Alport's syndrome

Explanation: Bilateral anterior lenticonus is associated with Alport's syndrome. The lens capsule in Alport's syndrome is thin and has linear dehiscences. Alport's syndrome is also associated with deafness and hereditary hemorrhagic nephritis. In lenticonus the surface of the lens has a conical configuration. It could either be anterior or posterior and is caused by the focal thinning of the lens capsule. Anterior lenticonus is associated with Alport's syndrome. Posterior lenticonus is usually a unilateral sporadic condition that is not associated with other ocular or systemic disease. Ref: Eye Pathology: An Atlas and Text By Ralph C. Eagle 2nd edn page 107.